Most common site of Osteogenic sarcoma is:
1. Femur, upper end
2. Femur, lower end
3. Tibia, upper
4. Tibia, lower end

Correct answer: 2. Femur, lower end

Explanation: Osteosarcoma and GCT involves lower end of femur commonly